Heck's disease is:
1. Multiple discrete papule on labial mucosa.
2. Focal epithelial hyperpalasia.
3. Both.
4. None.

Correct answer: 3. Both.